Brodman's area number for motor area -
1. 4 & 6
2. 1, 2, 3
3. 5 & 7
4. 16 & 18

Correct answer: 1. 4 & 6

Explanation: Ans. is 'a' i.e., 4 & 6 * Somatosensory area - Brodmann's area 3, 1 and 2.* Motor areas (motor & premotor) - Brodmann's area 4 & 6